Psammoma bodies can be seen in the following except?
1. Follicular Carcinoma of thyroid
2. Papillary carcinoma of thyroid
3. Meningioma
4. Serous cytadenoma of ovary

Correct answer: 1. Follicular Carcinoma of thyroid

Explanation: Psammoma bodies are concentrically calcified structure seen in: -meningioma -serous cystadenoma of ovary -papillary carcinoma of thyroid It is not seen in follicular carcinoma of thyroid. Ref:ROBBINS Text book of pathology)